An 8-year-old boy presents with a gradually progressing swelling and pain since 6 months over the upper tibia. On x-ray, there is a lytic lesion with sclerotic margins in the upper tibial metaphysis. The diagnosis is -
1. Osteogenic sarcoma
2. Osteoclastoma
3. Brodie's abscess
4. Ewing's sarcoma

Correct answer: 3. Brodie's abscess

Explanation: Lytic lesion with sclerotic margin in upper end of tibia in an 8-year-old by suggests the diagnosis of Brodie's abscess (among the given options).
Lytic lesions with sclerotic margins is seen in : -

i) Simple bone cyst                        
ii) Brodie's abscess  
iii) Osteoblastoma         
iv) Chondroblastoma